Accidental injury of the ureter during abdominal operation should be managed by all except;
1. Deligation
2. End-to-end anastomosis through an ureteric catheter
3. Implantation into the bladder
4. Colonic implantation

Correct answer: 4. Colonic implantation

Explanation: Management when injury is recognised during operation Urethral ligation:Deligation immediately -> assessment of viability of blood flow and urethral peristalsis. Ureteric implantation:Into the bladder must be done without any tension.High mobilisation of bladder is required and bladder dome is sutured to the psoas muscle on that side. End to end anastamosis through an ureteric catheter urethral sheath denudation urethral kinking bladder flap procedure D.C.DUTTA'S TEXTBOOK OF GYNAECOLOGY,Pg no:426,427,6th edition